All are risk factors for HCC except:-
1. HBV
2. HCV
3. Alcohol
4. IBS

Correct answer: 4. IBS

Explanation: Conditions associated with hepatocellular carcinoma:- 1. Cirrhosis 2. Metabolic disease 3. Environmental Condition Condition Condition HBV HCV Alcohol Autoimmune chronic active hepatitis Cryptogenic cirrhosis Cirrhosis due to NAFLD Primary biliary cirrhosis Hereditary hemochromatosis Hereditary tyrosinemia Alpha-1 antitrypsin deficiency Ataxia telangiectasia Types 1 and 3 glycogen storage disease Galactosemia Hereditary hemorrhagic telengiectasia Porphyria cutanea tarda Wilson's disease Orotic aciduria Alagille's syndrome (congenital cholestatic sydnrome) Thorotrast( Thorium dioxide) Androgenic steroids Cigarette smoking Aflatoxin